Which of the following is primarily a bactericidal drug?
1. Chloramphenicol
2. Gentamicin
3. Sulphadiazine
4. Tetracycline

Correct answer: 2. Gentamicin

Explanation: Aminoglycosides: Streptomycin, Gentamicin, Amikacin, Neomycin, etc. are considered as bactericidal drugs.